Caplan syndrome is seen in
1. COPD
2. Pneumoconiosis
3. Pulmonary odema
4. Bronchial asthma

Correct answer: 2. Pneumoconiosis

Explanation: Ref Harrison 17th/1625 Caplan syndrome is a combination of rheumatoid arthritis and pneumoconiosis that manifests as intrapulmonary nodules which appears homogeneous and well defined on chest X ray... It is also called as rheumatoid pneumoconiosis